Which of the following arrhythmia is most commonly associated with alcohol binge in the alcoholics
1. Ventricular fibrillations
2. Ventricular premature contractions
3. Atrial flutter
4. Atrial fibrilation

Correct answer: 4. Atrial fibrilation

Explanation: Ans. is 'd' i.e., Atrial fibrilation When ever the pulse is irregularly irregular atrial fibrillation is almost always the diagnosis. Arrythmia occuring after a drinking binge is k/a Holiday heart syndrome. Arrythmias known to follow drinking Binge in order of frequency Atrial fibrillation (MC) Atrial flutter Ventricular premature Contractions Also know The most common cardiac effect of chronic drinking is Dilated Cardiomyopathy